Which of the following is the most effective intravesical
therapy for superficial bladder cancer
1. Epirubicin
2. Mitomycin C
3. Thiotepa
4. BCG

Correct answer: 4. BCG

Explanation: Intravesical chemotherapeutic agents are

Mitomycin C
BCG ( best)
Thiopeta

Epirubicin